Which of the following is NOT responsible for pulmonary eosinophilia -
1. Ascaris lumbricoides
2. Paragonimus westermanii
3. Wuchereria bancrofti
4. Babesia microti

Correct answer: 4. Babesia microti

Explanation: pulmonary eosinophilia is caused by Strongyloidiasis: Paragonimiasis: Toxocariasis: